A QRS duration between 100 and 120 milliseconds suggests all of the following, Except:
1. Normal
2. Left anterior Fascicular Block
3. Left posterior Fascicular Block
4. Left Bundle Branch Block

Correct answer: 4. Left Bundle Branch Block

Explanation: Answer is D (Left Bundle Branch Block) Left Bundle Branch block is typically associated with a QRS duration greater than 120 milli seconds. Partial Blocks (Fascicular or hemiblocks) in the left bundle system (left anterior or posterior fascicular blocks) generally do not prolong the QRS duration substantially and QRS duration typically remains less than 120 milliseconds.